Attachment of the first rib is all except
1. Scalenus posterior
2. Scalenus anterior
3. Scalenus medius
4. Parietal pleura

Correct answer: 1. Scalenus posterior

Explanation: The first rib has several attachments which are listed below; Anterior scalene muscle: scalene tubercle Middle scalene muscle: between groove for the subclavian artery and transverse tubercle Intercostal muscles: from the outer border Subclavius muscle: arises from the distal shaft and first costal cartilage First digitation of the serratus anterior muscle Parietal pleura: from the inner border Costoclavicular ligament: anterior to the groove for the subclavian vein Ref -